Dilated cardiomyopathy does not develop in?
1. Duchenne muscular dystrophy
2. Alkaptonuria
3. Sarcoidosis
4. Keshan Syndome

Correct answer: 2. Alkaptonuria

Explanation: Alkaptonuria is not a/w dilated cardiomyopathy. Causes of Dilated Cardiomyopathy: 1. Toxin - alcohol 2. Sequalae to coxsackie myocarditis 3. Sarcoidosis 4. Duchenne's muscular Dystrophy 5. Keshan Syndrome (def. of Selenium) 6. Hemochromatosis 7.Doxorubicine